The most common variety of scleritis is
1. Non-necrotizing anterior diffuse
2. Anterior necrotizing without inflammation
3. Non-necrotizing anterior nodular
4. Anterior necrotizing with inflammation

Correct answer: 1. Non-necrotizing anterior diffuse

Explanation: SCLERITIS Scleritis refers to a chronic inflammation of the sclera proper. Classification : It can be classified as follows: I. Anterior scleritis (98%) 1. Non-necrotizing scleritis (85%) (a) Diffuse (b) Nodular 2. Necrotizing scleritis (13%) (a) with inflammation (b) without inflammation (scleromalacia perforans) II. Posterior scleritis (2%) Clinical features : Symptoms: Patients complain of moderate to severe pain which is deep and boring in character and often wakes the patient early in the morning . Ocular pain radiates to the jaw and temple. It is associated with localised or diffuse redness, mild to severe photophobia and lacrimation. Occasionally there occurs diminution of vision. Signs: The salient features of different clinical types of scleritis are as follows: 1. Non-necrotizing anterior diffuse scleritis: It is the commonest variety, characterised by widespread inflammation involving a quadrant or more of the anterior sclera. The involved area is raised and salmon pink to purple in colour. 2. Non-necrotizing anterior nodular scleritis: It is characterised by one or two hard, purplish elevated scleral nodules, usually situated near the limbus. Sometimes, the nodules are arranged in a ring around the limbus (annular scleritis). Ref:- A K KHURANA; pg num:-129,130